Schneider's first rank symptoms in schizophrenia include -a) Audible thoughtsb) Somatic passivityc) Ambivalenced) Depersonalizatione) Hallucinations
1. abc
2. abe
3. cde
4. acd

Correct answer: 2. abe

Explanation: Schneider's first rank symptoms 

Hallucinations :- Audible thoughts, voices commenting on one's action, voices heard arguing two or more hallucinatory voices discussing the subject in third person (third person hallucination).
Thought attention phenomena :- Thought insertion, thought withdrawal, thought broadcasting.
Passivity phenomena :- Made feeling (affect), made impulse, mode volition (acts), somatic passivity.
Delusional perceptions (Primary delusions).